A patient suffering from thyrotoxicosis is given propanolol. Which of the following is not controlled by propranolol given to this patient?
1. Anxiety
2. Tachycardia
3. Tremor
4. O 2 consumption

Correct answer: 4. O 2 consumption

Explanation: The primary role of propranolol in thyrotoxicosis is to attenuate the effects of catecholamines, and it is also a weak inhibitor of extrathyroid conversion of T4 to T3. When given it is useful in reducing the heart rate, tremor, agitation, psychotic behavior, diarrhea, fever and diaphoresis. It doesn't alter the metabolic rate.